Hyperkalemia is caused by : a) Amphotericin B b) ACE Inhibitors c) Cyclosporine d) GM-CSF e) Succinylcholine
1. abcd
2. acd
3. bcde
4. bce

Correct answer: 4. bce